Botulism is a disease of
1. Neural transmission caused by the toxin of the bacterium clostridium botulinum
2. Muscular transmission caused by the toxin of the bacterium clostridium botulinum
3. Neuromuscular transmission caused by the toxin of the bacterium clostridium botulinum
4. Non neuromuscular transmission caused by the toxin of the bacterium clostridium botulinum

Correct answer: 3. Neuromuscular transmission caused by the toxin of the bacterium clostridium botulinum

Explanation: Clostridium botulinum produces a powerful exotoxin. It acts by blocking the production or release of acetylcholine at the synapses and neuromuscular junction. Thus blocks neuromuscular transmission. Reference: Textbook of Microbiology; Anathanarayan and paniker's; 10th edition; Page no: 269